MC orbital tumor in adult is -
1. Nerve sheath tumor
2. Hemangioma
3. Lymphoma
4. Meningioma

Correct answer: 2. Hemangioma

Explanation: Ans. is 'b' i.e., Hemangiomao Most common orbital tumor- Cavernous hemangioma.o Most common malignant orbital tumor- Lymphoma.IMPORTANT FACTSo Most common intraocular tumor in adults is metastasis. Metastasis is particularly common from carcinoma of breast and lung.o Most common primary intraocular tumor in adults is uveal melanoma. Most of the uveal malignant melanoma arise in choroid.o Most common primary intraocular tumor is children is retinoblastomao Most common orbital tumors in adults are benign vascular tumors - Cavernous hamangiomao Most common malignant orbital tumor in adult - lymphomao Most common orbital tumors in children are benign tumors - Dermoid cyst > capillary hemangiomao Most common malignant orbital tumor in children - rhabdomyosarcomao Overall most common primary malignant tumor of eye is malignant melanoma followed by retinoblastomao Most common malignant eyelid tumor - Basal cell carcinomao Most common epithelial tumor of lacrimal gland - Pleomorphic adenoma (benign mixed tumor)o Overall most common tumor of lacrimal gland Lymphoid tumour and inflammatory pseudo - tumorso Most common malignant tumor of conjunctiva - Squamous cell carcinomao Most common malignant tumor of cornea - Squamous cell carcinoma